Dentate nucleus is a part of -
1. Midbrain
2. Pons
3. Medulla
4. Cerebellum

Correct answer: 4. Cerebellum

Explanation: D i.e. Cerebellum